Which of the following is not used for anxiety
1. Propranolol
2. Alprazolam
3. Buspirone
4. Haloperidol

Correct answer: 4. Haloperidol

Explanation: Treatment consists of therapy Treatment includes counselling or medication, including antidepressants. Self-care Avoid alcohol, Reduce caffeine intake, Physical exercise, Stress management, Quitting smoking, Relaxation techniques, and Healthy diet Therapies Cognitive behavioral therapy, Meditation, and Psychotherapy Medications Selective Serotonin Reuptake Inhibitor (SSRI), Anxiolytic, Antidepressant, Sedative, and Nerve pain medication Specialists Clinical Psychologist, Psychiatrist, and Primary Care Provider (PCP) Ref: KATZUNG 13TH ED.